With regard to hypertension, which is not a mode of primary prevention?
1. Weight reduction
2. Exercise
3. Reduced salt intake
4. Early diagnosis of hypertension

Correct answer: 4. Early diagnosis of hypertension

Explanation: It is a secondary mode of prevention. Primary prevention:To avoid occurrence of disease. Secondary prevention:To diagnose and treat existent disease in early stages before it causes significant morbidity Tertiary prevention:To reduce negative impact of extant disease by restoring function and reducing disease-related complications. Quaternary prevention:To avoid results of unnecessary or excessive interventions in the health system